All are true for Grave's disease except:
1. Commoner in males
2. Eye signs are frequent
3. Family history of autoimmune endocrine disorders may be present
4. Presence of thyroid stimulating antibodies

Correct answer: 1. Commoner in males

Explanation: Ans: A i.e. Commoner in males Grave's disease Graves' disease usually occurs in younger women & is frequently associated with eye signs 50% of the patients have a family history of autoimmune endocrine disease Hyperplasia & hypertrophy of thyroid tissue is due to abnormal thyroid stimulating antibodies (TSH-RAbs).